Erythema multiforme is most often related to –
1. Herpes zoster infection
2. Herpes simplex infection
3. Molluscum contagiosum infection
4. Human papilloma virus infection

Correct answer: 2. Herpes simplex infection